All of the following are symptoms of carotid atherosclerosis, EXCEPT:
1. Ipsilateral amaurosis fugax
2. Ipsilateral retinal infarction
3. Contralateral body TIA
4. Contralateral amaurosis fugax

Correct answer: 4. Contralateral amaurosis fugax

Explanation: Carotid atherosclerosis is a pathological thickening of the common or internal carotid intima, typically into focal areas known as plaques (or atheromata). Although atheromata can remain stable for many years, surface rupture of unstable (vulnerable) plaques leads to local thrombus formation, with subsequent embolisation to the ipsilateral ophthalmic, middle cerebral, or anterior cerebral artery territories. The resultant symptoms are ipsilateral amaurosis fugax or retinal infarction and contralateral body transient ischaemic attack (TIA) or stroke. Carotid ultrasound is recommended within 24 hours of a new carotid territory transient ischaemic attack, non-disabling ischaemic stroke, ipsilateral amaurosis fugax, or retinal artery infarction Ref: Oates CP, Naylor AR, Hashorne T, Charles SM, Fail T, Humphries K, et al. Joint recommendations for reporting carotid ultrasound investigations in the United Kingdom. Eur J Vasc Endovasc Surg2009;37:251-61; Diagnosis and management of carotid atherosclerosis ; BMJ 2013;346:f1485.